A chromosomal anomaly associated with Alzheimer's dementia is:
1. Trisomy 18
2. Patau syndrome
3. Trisomy 21
4. Turners syndrome

Correct answer: 3. Trisomy 21

Explanation: Answer is C (Trisomy 21) : Several genetic factors are known to play important roles in pathogenesis of at least some cases of Alzheimers disease. Trisomy 21 is one of them. Adults with trisomy 21 (Down's) consistently develop the Neuropathologic hallmark's of Alzheimer's disease if they survive beyond age 40.